Drug of choice in Zollinger Ellison syndrome is :
1. Ranitidine
2. Omeprazole
3. Antacids
4. B-blocker

Correct answer: 2. Omeprazole

Explanation: Ans. is 'b' Omeprazole (Ref. Harrison, 17/e, p 1869 & 16/e, p 1759 (15/e, p 1662)). Treatment of choice for Zollinger Ellison syndrome is - Proton pump inhibitors (Omeprazole or lansoprazole).